The most common indication for liver transplantation in adult is
1. Portal vein thrombosis
2. Cirrhosis
3. Biliary atresia
4. None of the above

Correct answer: 2. Cirrhosis

Explanation: Most common indication for transplantation is chronic liver failure ie due to alcoholic liver disease. in children, biliary atresia (about 10-15%) is the common cause for liver transplantation Bailey and love's edition24 page:202